The concentration of sodium ions in the standard WHO oral rehydration solutions is:
1. 40m moles/L
2. 60 m moles/L
3. 90m moles/L
4. 110 m moles/L

Correct answer: 3. 90m moles/L

Explanation: (Ref: KDT 6/e p658, 659) Concentraton of Na+ is 90m mole/L in standard WHO-ORS whereas it is 75 m mole/L in New formula ORS